All of the following drugs are used for prophylaxis of migraine except;
1. Propranolol
2. Imipramine
3. Flutamide
4. Flunarizine

Correct answer: 3. Flutamide

Explanation: Flutamide is androgen receptor antagonist. Used in Ca prostate and hirsutism.